The amalgam mixes should be discarded after?
1. 3.5 minutes
2. 2.5 minutes
3. 1.5 minutes
4. 2 minutes

Correct answer: 1. 3.5 minutes

Explanation: Amalgam mixes should be discarded after 3.5 minutes. It may enhance microleakage and diminished retention of the restoration will result.
Reference: Marzouk Operative dentistry, pg-113,114